Which of the following protein has ferroxidase activity?
1. Albumin
2. Ceruloplasmin
3. Haptoglobin
4. Transferrin

Correct answer: 2. Ceruloplasmin

Explanation: Ceruloplasmin:- Copper-containing ferroxidase. Oxidizes toxic ferrous iron to its non-toxic ferric iron in the serum. This facilitates the transport of iron by transferrin. This is why aceruloplasminemia leads to hemochromatosis. - Hephaestin is also a copper-dependent ferroxidase that oxidizes ferrous iron to ferric. It works in cooperation with ferroportin in the cells.